RDA of zinc in a child less than 8 years old is-
1. 5 mg
2. 12 mg
3. 20 mg
4. 25 mg

Correct answer: 1. 5 mg

Explanation: Ans. is 'a' i.e., 5 mg RDA of Zinc in children* 1-3 years- 3mg* 4-8 years- 5 mg* 9 years and above (male)- 8-11 mg* 9 years and above (female)- 8 mg